True statement about neostigmine aa
1. It is quaternary Ammonium compounds
2. It is metabolized by liver
3. It can cross blood brain barrier
4. Prominent effect on cardiac muscle

Correct answer: 1. It is quaternary Ammonium compounds

Explanation: Refer kDT 6/e p 101,102 neostigmine is a reversible cholinesterase inhibitor. It is a quarternary ammonium compound(lipid insoluble agent) So it doesn't cross blood brain barrier It is partly hydrolysed by serum cholinesterase and partly excreted unchanged by the Kidneys It possesses some agonistic action on Nm receptors